Active reabsorption of glucose occurs in the ?
1. Distal tubule
2. Proximal tubule
3. Loop of henle
4. Collecting ducts

Correct answer: 2. Proximal tubule

Explanation: B i.e. Proximal tubuleProximal convoluted tubule (early part) reabsorbs almost all of glucose, amino acids, protein, lactate & inorganic phosphate and most (65%) of bicorbonate,Na+,11)0, K+ and CI Q. PCT is also an important site for secretion of organic acids and bases such as oxalate, urate, bile salts, H+ and catecholamines, along with toxins, drugs eg penicillin, salicylates and PAH. So its' a work horse of nephronQ.